All are true about syncope except:
1. Consciousness is lost
2. More common in standing than lying postion
3. Vasovagal type is common
4. Return of consciousness is slow & take hours

Correct answer: 4. Return of consciousness is slow & take hours

Explanation: Answer- D. Return of consciousness is slow & take hoursSyncope is a transient, self-limited loss of consciousness due to acute global impairment of cerebral blood flow.A syncopal attack begins when the patient is usually in an upright position (sitting or standing) Return of consciousness is prompt.Vasovagal syncope is due to excessive vagal tone or impaired reflex control of the peripheral circulation.The most frequent type of vasodepressor syncoPe is vasovagal hypotension or the common faint.